Which of the following is GPIIb/IIIa inhibitor -
1. Clopidogrel
2. Ticlopidine
3. Cangrelor
4. Abciximab

Correct answer: 4. Abciximab

Explanation: Ans. is 'd' i.e., Abciximab Glycoproteins 11b / IIIa inhibitorso The platelet glycoprotein mediates platelet aggregation via binding of adhesive proteins such as fibrinogen and Von Willebrand factor.o GP IIb / IIIa inhibitors, inhibit platelet aggregation by blocking GPIIb / IIIa.o They are more complete inhibitors than either aspirin or clopidogrel / ticlopidinejj because they inhibit final pathway in platelet aggregation (whether it is mediated by ADP or TXA2), while aspirin blocks only TXA2 pathway and clopidogrel blocks only ADP pathway.o Drugs are -1. Abciximab - A humanized monoclonal antibody against GP IIb / IIIa.2. Eptifibatide3. Tirofiban4. Lamifiban}Competitive inhibitors of GP Ilb/IIIao In addition to inhibiting Gp IIb / IIIa receptor, abciximab also inhibits ag b3 receptor (which binds vitronectin) and am b2 (a leukocyte integerin). This action is responsible for anti-inflammatory and antiproliferative properties of abciximab.